In a G2P1, Rh negative mother with previous history of hydrops fetalis, now ICT is positive at 20 weeks. What is the next line of management?
1. MCA Doppler
2. Amniocentesis and bilirubin estimation
3. Exchange transfusion
4. Cordocentesis

Correct answer: 1. MCA Doppler

Explanation: Hydrops fetalis in the previous pregnancy and positive ICT now is suggestive of maternal isoimmunisation Now the next step is to quantify fetal anemia/ fetal hemolysis. This is best done by MCA PSV measurement on fetal doppler since it is very sensitive and non invasive. Methods for detection of fetal anemia are: MCA peak systolic velocity: very sensitive, non invasive Amniocentesis and bilirubin estimation: invasive Cordocentesis: most invasive technique , associated with further fetoplacental bleed, thrombosis, fetal bradycardia and IUD. Hence not preferred. Done in cases of: fetal hydrops Zone 3 on Liley's chart MCA PSV of >1.5 MoM Intrauterine Exchange transfusion: Done when fetal hematocrit on cordocentesis is < 30 %